Which of the terms describes a centromere near the end of chromosome?
1. Acrocentric
2. Metacentric
3. Submetacentric
4. Telocentric

Correct answer: 1. Acrocentric

Explanation: Acrocentric chromosome - a chromosome with the centromere near one end so that one chromosomal arm is short and one is long.Metacentric chromosome - a chromosome having two equal arms because the centromere is in median position. Submetacentric chromosome - a chromosome whose centromere lies between its middle and its end but closer to the middle. Telocentric chromosome - a chromosome like a straight rod with the centromere in terminal position.